Which of the following drug causes pain on injection:-
1. Rocuronium
2. Vacuronium
3. Rapocuronium
4. Atracurium

Correct answer: 1. Rocuronium

Explanation: Rocuronium causes pain on injection, like propofol. Unlike propofol however it is given after patient is induced. Pain associated with injection of rocuronium is commonand can be very distressing. Tracheal intubation with rocuronium using the 'timing principle'. the described pain is a 'burning' in nature and occurred immediately on administration. We do not know the exact mechanism for the pain, although the immediate onset rapid precurarization technique using rocuronium probably reflects a direct irritant effect and not an indirect effect on the kinin cascade.